Post-mortem caloricity is/are seen in all except:
1. Strychnine poisoning
2. Septicaemic condition
3. Cholera
4. Barbiturate poisoning

Correct answer: 4. Barbiturate poisoning

Explanation: Ans: d. Barbiturate poisoningPost-Mortem Caloricity 1. Reddy 33rd/155- In this condition, the temperature of the body remains raised for the first two hours or so after death.When the regulation of heat production has been severely disturbed before death, as in sunstroke & in some nervous disorderWhen there has been a great increase in heat production in the muscle due to convulsions, as in tetanus & strychnine poisoning etcPost-Mortem Caloricity: Seen I Parikh th/ 3.8-3.9, Pontine haemorrhage & sunstroke, Tetanus & strychnine poisoning., acute viral or viral infections such as lobar pneumonia, typhoid fever, encephalitis & encephalomyelitis